Hyphaema i.e. blood in the anterior chamber is suggestive of-
1. Intraocular trauma
2. Posterior uveitis
3. Capillary hemangioma of the lid
4. High grade myopia

Correct answer: 1. Intraocular trauma

Explanation: Ans. is 'a' i.e., Intraocular trauma Etiology of hyphaema* The most common causes of hyphema are intraocular surgery, blunt trauma, and lacerating trauma.* Hyphemas may also occur spontaneously, without any inciting trauma. Spontaneous hyphemas are usually caused by the abnormal growth of blood vessels (neovascularization), tumors of the eye (retinoblastoma or iris melanoma), uveitis, or vascular anomalies (juvenile xanthogranuloma)* Conditions or medications that cause thinning of the blood, such as aspirin, warfarin, or drinking alcohol may also cause hyphema.* Additional causes of spontaneous hyphema include: rubeosis iridis, myotonic dystrophy, leukemia, hemophilia, and von Willebrand disease.